Acute Lung injury is characterized by all, Except:
1. Alveolar infiltrates
2. Hypoxemia
3. Pulmonary shunting
4. None of the above

Correct answer: 4. None of the above

Explanation: Answer is D (None of the above) Bilateral alveolar interstial infiltrates on Radiographs along with, hypoxemia and pulmonary shunting due to intra alveolar filling are characteristic features of both ALI and ARDS.